Illusion is a disorder of ?
1. Thought
2. Perception
3. Affect
4. Emotion

Correct answer: 2. Perception

Explanation: Ans, B. PerceptionDisorders of perceptionAltered perception - Sensory distortion (micropsia, hyeracusis), Illusion.False perception - Hallucination.